Facial nerve exits the skull through-
1. Stylomastoid foramen
2. Internal acoustic meatus
3. Foramen Lacerum
4. Foramen Rotundum

Correct answer: 1. Stylomastoid foramen

Explanation: Ans. is 'a' i.e., Stylomastoid foramen o Facial nerve enters the temporal bone through - Internal acoustic meatuso Facial nerve exits the skull through - Stylomastoid foramen